All are seen in organic psychosis except -
1. Disorientation in place, time & person
2. Clouding of consciousness
3. Hallucination
4. Normal common knowledge

Correct answer: 4. Normal common knowledge

Explanation: The presence of the following features requires a high index of suspicion for the presence of organic mental disorder (organicity) :-


First episode, sudden onset or older age of onset.
History of drug and/or alcohol abuse.
Concurrent medical or neurological illness.
Neurological symptoms or signs :- seizures, impairment of consciousness, head injury, sensory or motor disturbances, or soft neurological signs.
Cognitive impairment :- confusion, disorientation, memory impairment, impaired concentration & attention, impaired consciousness.
Visual or other non-auditory (olfactory, gustatory or tactile) hallucinations
Complex delusions